In humans, the percentage of nephrons that having long loops is:
1. 5%
2. 15%
3. 35%
4. 65%

Correct answer: 2. 15%

Explanation: The convoluted proximal tubule straightens and the next portion of each nephron is the loop of Henle. The nephrons with glomeruli in the outer portions of the renal cortex have short loops of Henle (cortical nephrons), whereas those with glomeruli in the juxtamedullary region of the cortex (juxtamedullary nephrons) have long loops extending down into the medullary pyramids. In humans, only 15% of the nephrons have long loops. Ref: Barrett K.E., Barman S.M., Boitano S., Brooks H.L. (2012). Chapter 37. Renal Function & Micturition. In K.E. Barrett, S.M. Barman, S. Boitano, H.L. Brooks (Eds), Ganong's Review of Medical Physiology, 24e.